A 50-year-old obese man complains of several recent
abscesses in the gingiva with loosening of teeth. He
also suffers from itching of skin and polyuria. The most
probable etiology is:
1. Scurvy
2. Myxoedema
3. Diabetes mellitus
4. Vitamin A deficiency

Correct answer: 3. Diabetes mellitus